In the forensic laboratory some samples are being examined under ultraviolet ray, the doctor notices blue white color of the sample. Which is the most probable content of the sample
1. Semen
2. Urine
3. Pus
4. Leucorrhoea discharge

Correct answer: 1. Semen

Explanation: Ans. a. Semen In sexual offences, a preliminary examination under filtered ultraviolet light can be made. Stains of urine, vaginal discharge and seminal fluid show a bright fluorescence. The fluorescence of seminal stains is of a bluish-white colour and such stains are selected for further examinations. Examination of Seminal Stains Physical Examination: A preliminary examination under filtered ultraviolet lightQ can be made. Stains of urine, vaginal discharge and seminal fluid show a bright fluorescence. The fluorescence of seminal stains is of a bluish-white colour and such stains are selected for further examinationsQ Chemical Examination: Mnemonic - 'create A F B' Creatine Phosphokinase testQ: Depends on presence of CPKdeg in semen Acid Phosphatase testQ: Depends on presence of acid phosphatase in semen Florence testQ: Depends on presence of CholineQ in semen. Barberio's testQ: Depends on presence of SperminQ in semen Microscopic examination Involves identification of spermatozoa under microscope. Fluorescence microscopy is based on the principle that the Y-chromosome is fluorescence to quinacrinedeg. Electrophoretic Methods: Acid-Phosphatase TestQ LDH Isoenzyme TestQ